Causes of Hypercalcemia include all of the following except
1. Multiple myeloma
2. Lytic skeletal metastasis
3. Total parentral nutrition
4. Acute Pancreatitis

Correct answer: 4. Acute Pancreatitis

Explanation: Answer is D (Acute pancreatitis): Acute Pancreatitis is a miscellaneous cause for Hypocalcemia (not hypercalcemia). Note that Hypercalcemia may cause Acute Pancreatitis but Acute Pancreatitis causes hypocalcemia Q. Multiple myeloma, Lytic skeletal metastasis and excessive calcium intake from Total Parentral Nutrition are all established causes of Hypercalcemia Causes of Hypercalcemia: Excessive PTH *roduction * Primary hyperparathyroidism (adenoma, hyperplasia, rarely carcinoma) * Tertiary hyperparathyroidism (long-term stimulation of PTH secretion in renal insufficiency) * Ectopic PTH secretion (very rare) * Inactivating mutations in the CaSR (FHH) * Alterations in CaSR function (lithium therapy) Hypercalcemia of malignancy * Overproduction of PTHrP (many solid tumors) * Lytic skeletal metastases (breast, myeloma) Excessive 1,25(OH)2D production * Granulomatous diseases (sarcoidosis, tuberculosis, silicosis) * Lymphomas * Vitamin D intoxication Primary increase in bone resorption * Hyperthyroidism * Immobilization Excessive calcium intake * Milk-alkali syndrome * Total parenteral nutrition Other causes * Endocrine disorders (adrenal insufficiency, pheochromocytoma, VIPoma) * Medications (thiazides, vitamin A, antiestrogens) CaSR, calcium sensor receptor; FHH, familial hypocalciuric hypercalcemia; PTH, parathyroid hormone; PTHrP, PTH-related peptide.